IgA nephropathy has all the following characteristics except -
1. Hematuria
2. Hypertension
3. Nephritic syndrome
4. Thin basement membrane on renal biopsy

Correct answer: 4. Thin basement membrane on renal biopsy

Explanation: Histologically, the lesions in IgA nephropathy vary considerably. The glomeruli may be normal or may show mesangial widening and segmental inflammation confined to some glomeruli (focal proliferative GN); diffuse mesangial proliferation (mesangioproliferative GN); or (rarely) overt crescentic GN. The characteristic immunofluorescence picture is of mesangial deposition of IgA, often with C3 and properdin and smaller amounts of IgG or IgM. Ref: Robbins basic pathology 9th edition page 530